Amsler grid test is for
1. Corneal thickness
2. Macular function
3. Visual field charting
4. Calculation of squint angle

Correct answer: 2. Macular function

Explanation: Amsler grid test is for testing Macular function. The Amsler grid is a tool that eye doctors use to detect vision problems resulting from damage to the macula (the central part of the retina) or the optic nerve. The damage may be caused by macular degeneration or other eye diseases, so the Amsler grid is useful in detecting these problems. Reference: AK khurana 7th edition